A mother with 10 weeks pregnancy and who had previously delivered a baby with open neural tube defect which statement is true :
1. Sodium valproate causes open neural tube defect
2. Risk of recurrence is 10%
3. Amniocentesis should be done
4. Give multivitamin

Correct answer: 1. Sodium valproate causes open neural tube defect

Explanation: Ans. is a i.e Sodium valproate causes open neural tube defect Sodium valproate "used during pregnancy. has produced neural tube defects in the offspring; therefore should be avoided". Therefore option "a" is correct "The risk of recurrence of anencephaly is 5% after one affected child and 13% after two affected children.deg Therefore option "b" is incorrect. Diagnostic protocol in case of patients who have had a child with neural tube defect : In such patients At 16 weeks of gestation - Level II ultrasound Maternal serum alpha feto protein (MSAFP). Based on the results of these two investigations : the need for amniocentesis is decided.